What passes through diaphragm at T12 level ?
1. Esophagus
2. IVC
3. Thoracic duct
4. Phrenic nerve

Correct answer: 3. Thoracic duct

Explanation: Ans. is 'c' i.e., Thoracic duct